Octreotide is useful in esophageal varices. It is a synthetic analogue of somatostatin. The true statement regarding this drug is:
1. It can be given orally
2. It is longer acting than somatostatin
3. Its major adverse effect is secretory diarrhea
4. All of the above

Correct answer: 2. It is longer acting than somatostatin